The volatility of an anesthetic agent is directly proportional to lowering the flow in the portal vein. Portal flow is maximally reduced by:
1. Ether
2. Halothane
3. Isoflurane
4. Enflurane

Correct answer: 2. Halothane

Explanation: Halothane reduces splanchnic and hepatic blood flow as a consequence of reduced perfusion pressure. This reduced blood flow has not been shown to produce detrimental effects on hepatic or GI function. The metabolism and clearance of some drugs (eg, fentanyl, phenytoin, verapamil) appear to be impaired by halothane. Ref: Morgan, Jr. G.E., Mikhail M.S., Murray M.J. (2006). Chapter 7. Inhalation Anesthetics. In G.E. Morgan, Jr., M.S. Mikhail, M.J. Murray (Eds), Clinical Anesthesiology, 4e.